A wave in ERG is due to the activity of –
1. Pigmented epithelium
2. Rods and cones
3. Ganglion cell
4. Bipolar cell

Correct answer: 2. Rods and cones

Explanation: Waves in ERG are :


Negative 'a' wave represent the activity in rods and cones.
Positive 'b' wave arises in inner retinal layers.
Positive 'c' wave is associated with the pigmentary epithelium.